C-peptide occurs in:
1. Proinsulin
2. Glucagon
3. Parathormone
4. Thyroxine

Correct answer: 1. Proinsulin

Explanation: Preproinsulin contains a signal peptide of 23-amino acid. The signal peptide is removed as it enters the endoplasmic reticulum. The remainder of the molecule is pro-insulin. This peptide contains A, B chains  and the connecting peptide (C peptide). Separation of C peptide produces insulin.